A thyroid biopsy obtained from a 29-year-old woman complains of nervousness and muscle weakness of 6 months in duration. She is intolerant of heat and sweats excessively. She has lost 9 kg (20 lb) pounds over past 6 months, despite increased caloric intake. She frequently finds her heart racing and can feel it pounding in her chest. She also states that she has missed several menstrual periods over the past few months. Physical examination reveals warm and moist skin and bulging eyes (exophthalmos). Which of the following best describes the pathologic findings?
1. Atrophy and fibrosis
2. Dense lymphoid infiltrate with germinal centers
3. Follicular hyperplasia with scalloping of colloid
4. Necrotizing parenchymal granulomas

Correct answer: 3. Follicular hyperplasia with scalloping of colloid

Explanation: - Clinical features given suggests the diagnosis of Graves disease - Microscopic findings: Follicular hypertrophy & hyperplasia resulting in crowding. Crowding results in papillae formation with no fibrovascular core Colloid is pink & scalloped at periphery adjacent to follicular cells. - Diffuse increase in size of gland is seen - Lymphoid infiltrates consisting predominantly of T cells, with fewer B cells & mature plasma cells are present throughout interstitium.